Which of the following is not true regarding carbimazole:
1. Safely used in pregnancy
2. More potent than propylthiouracil
3. Single daily dose administration
4. Does not inhibit peripheral conversion of T-4 to T-3

Correct answer: 1. Safely used in pregnancy

Explanation: Ans. A: Safely used in pregnancy